Cold caloric test stimulates:
1. Cochlea
2. Lateral semicircular canal
3. Posterior semicircular canal
4. All the above

Correct answer: 2. Lateral semicircular canal

Explanation: In Caloric test we induce nystagmus by thermal stimulation of the peripheral vestibular system. Caloric test stimulates the lateral semicircular canal, the bulge of which is present on the medial wall of middle ear.